Which of the following statements about 'Low' Radial nerve palsy is not TRUE?
1. Loss of nerve supply to brachioradialis
2. Loss of nerve supply to extensor carpi radialis brevis
3. Loss of nerve supply to extensor pollicis brevis
4. Loss of sensation over first dorsal web space

Correct answer: 1. Loss of nerve supply to brachioradialis

Explanation: Low radial nerve palsy occurs when the radial nerve is injured at the level of elbow, so that the muscles supplied by the radial nerve in the distal arm (Brachioradialis and Extensor Carpi radialis longus) are spared. Ref: Essential Orthopedics By J Maheswari, 3nd Edition, Page 53; Apley's System of Orthopaedics and Fractures By Louis Solomon, 9th Edition, Chapter 11, Page 282